Neurofibromatosis I is most commonly associated with
1. Brain stem gliomas
2. Optic pathway glioma
3. Sub ependymal pilocytic astrocytoma
4. Glioblastoma multiforune

Correct answer: 2. Optic pathway glioma

Explanation: Robbins and cotran Pathologic basis of disease-south asia edition, 9 edition * NF1 is characterised by neurofibromas of peripheral nerve, gliomas of optic nerve,Lisch nodules and cafe au lait spots.